Hair cells baseline membrane potential O?
1. 30mV
2. -50mV
3. -40mV
4. -60mV

Correct answer: 4. -60mV

Explanation: Ans. is 'd' i.e., -60mVThe resting membrane potential of the hair cells is about -60 mV.When the stereocilia are pushed toward the kinocilium, the membrane potential is decreased to about -50 mV. When the bundle of processes is pushed in the opposite direction, the cell is hyperpolarized.Displacing the process in a direction perpendicular to this axis provides no change in membrane potenital, and displacing the processes in directions that are intermediate between these two directions produces depolarization or hyperpolarization that is proportional to the degree to which the direction is toward or away from the kinocilium.Thus, the hair processes provide a mechanism for generating changes in membrane potential proportional to the direction and distance the hair moves.